Components of chromosome area) DNAb) t RNAc) m RNAd) r RNAe) Histone
1. ae
2. b
3. ab
4. ad

Correct answer: 1. ae

Explanation: Nucleosomes are further arranged into increasingly more complex structures that organize into chromosomes.
Chromosomes are made up of DNA, histones, and non-histone protein.